Which of the following muscle lies between superficial and deep parts of submandibular salivary gland?
1. Hyoglossus
2. Styloglossus
3. Mylohyoid
4. Geniohyoid

Correct answer: 3. Mylohyoid

Explanation: Submandibular gland is a large salivary gland situated in the anterior part of the digastric triangle. It is roughly J-shaped,being indented by the posterior border of the mylohyoid which divides into a larger part superficial to the muscle,and a small part lying deep to the muscle. Reference: B D Chaurasia's human anatomy; 5th edition, page.166.